Common bile duct injuries are most commonly seen in
1. Radical gastrectomy
2. Penetrating injuries of abdomen
3. ERCP and sphincterectomy
4. Laparoscopic cholecystectomy operation

Correct answer: 4. Laparoscopic cholecystectomy operation

Explanation: Bile duct injury and ligation Most benign strictures follow iatrogenic bile duct injury. Most commonly during laparoscopic cholecystectomy Incidence of bile duct injury during open cholecystectomy is 0.1-0.2 % Incidence of bile duct injury during laparoscopic cholecystectomy is 0.3-0.85 % Ref :Sabiston 20th edition Pgno :1502